Worm like filling defect is seen In
1. Erosive gastritis
2. Esophageal varices
3. CA esophagus
4. Schatzki's ring

Correct answer: 2. Esophageal varices

Explanation: On USG Thickened sinus, interrupted mucosal folds (earliest sign) Toous radiolucencies of variable size The "worm-eaten" smooth lobulated filling defects Ref: Wolfgang Radiology 2nd edition Pg no : 509